A 40-years-old woman presented to the gynecologist with complaints of profuse vaginal discharge. There was no discharge from the cervix on the speculum examination. The diagnosis of bacterial vaginosis was made based upon all of the following findings on microscopy, EXCEPT:
1. Abundance of gram variable coccobacilli
2. Absence of lactobacilli
3. Abundance of polymorphs
4. Presence of clue cells

Correct answer: 3. Abundance of polymorphs

Explanation: Bacterial vaginosis is characterized by loss of Lactobacillus-predominant vaginal flora and replacement with Gardnerella vaginalis, Escherichia coli, Anaerobic bacteria, or Microplasma hominis, and presence of 'clue cells'. Bacterial vaginosis is associated with a decreased number of polymorphs and not with their abundance. Ref: Shaw's Textbook of Gynaecology, 13th Edition, Page 129; Harrison's Principles of Internal Medicine, 16th Edition, Page 766.